Anti histone antibodies are characteristics of-
1. Drug induced lupus
2. Cardiac lupus
3. Lupus nephritis
4. MCTD

Correct answer: 1. Drug induced lupus